Crown completion of Maxillary 2nd molar occur
1. At birth
2. 7-8 year
3. 12 year
4. 6 months after birth

Correct answer: 2. 7-8 year